The most common cause of stridor in infant and children is:
1. Congenital subglottic stenosis
2. Laryngomalacia
3. Vocal Cord Paralysis
4. Foreign body in airway

Correct answer: 2. Laryngomalacia

Explanation: b. Laryngomalacia(Ref: Nelson's 20/e p 2036; Ghai 8/e p 369)Laryngomalacia is the most common cause of stridor in infants and children.